The effective range of revolver is:-
1. 30-35 m
2. 100-200 m
3. 1000 m
4. 3000 m

Correct answer: 2. 100-200 m

Explanation: Weapon Effective range in metres Shot gun 30-35 Musket 90 Revolver 100 Pistol 100 Rifle 1000 Military rifle 3000